All the following statements about seminal vesicles are true EXCEPT:
1. Stores the spermatozoa
2. Actively depends on the level of testosterone
3. Secretion has abundant fructose
4. Lined by pseudostratified columnar epithelium

Correct answer: 1. Stores the spermatozoa

Explanation: Ans. (a) Stores the spermatozoaRef: I.B. Singh 9th ed./15* Seminal vesicles are two lobulated sacs, situated between the bladder and rectum.* Each vesicles is about 5 cm long, and is directed upwards and laterally and is lined by pseudostratified columnar epithelium.* The lower narrow end forms the duct of the seminal vesicle which joins the ductus deferens to form the ejaculatory duct.* The seminal vesicles do not form a reservoir for spermatozoa.* Their secretion is slightly alkaline and contains fructose and a coagulating enzyme called the vesiculase.* The secretion depends on level of testosterone.